Liver granulomas may be associated with all of the following Except
1. Candida
2. Halothane
3. Sarcoidosis
4. Hepatic metastasis

Correct answer: 4. Hepatic metastasis

Explanation: Granulomatous disease Four etiological categories: Fungal or acid fast organisms(eg candida) Known causes like Tuberculosis, sarcoidosis, primary biliary cirrhosis Underlying disorder like caseous necrosis suggestive of infection or eosinophilia which points to parasites or drug or toxin induced injury(halothane) Unknown cause ROBBINS BASIC PATHOLOGY NINTH EDITION PAGE 635